Stapes foot plate covers -
1. Round window
2. Oval window
3. Inferior sinus tympani
4. Pyramid

Correct answer: 2. Oval window

Explanation: Footplate of stapes covers the oval window and secondary tympanic membrane covers the round window.
Mnemonic : SORT : 

* Stapes (footplate) covers 
  Oval window
*Round window is covered by
 Tympanic membrane (Secondary)